A 17-year-old boy comes to the physician because of edema of both legs as well as pen- 
orbital edema There is no history of diarrhea and no urinary symptoms suggestive of 
infection. He had a throat infection 3 weeks ago. His blood pressure is 110/70 mmHg. He 
undergoes a kidney biopsy and light microscopy is normal. The patient is treated and makes 
a full recovery. 

Which of the following is the most likely diagnosis?
1. Accelerated hypertension
2. ANCA associated vasculitis
3. Minimal change glomerulonephnitis
4. Post-streptococcal glomerulonephritis

Correct answer: 3. Minimal change glomerulonephnitis